The drug of choice for absence seizures
1. Valproate
2. Gabapentin
3. Carbarnazepine
4. phenytoin

Correct answer: 1. Valproate

Explanation: K.D Tripathy essentials of medical pharmacology 7th edition . Valproic acid is the drug of choice for absence seizure.